Investigation of choice for meningeal carcinomatosis?
1. NC-CT
2. CE-CT
3. MRI with Gadolinium
4. PET

Correct answer: 3. MRI with Gadolinium

Explanation: Ans CMeningeal carcinomatosis is invasion of meninges by carcinoma cells. Malignancies of lung, breast and melanoma are commonly involved.Contrast enhanced MRI is investigation of choice for evaluation